Function of incretin is -
1. Increased heart rate
2. Increased insulin secretion
3. Increased respiratory rate
4. Stimulate erythropoiesis

Correct answer: 2. Increased insulin secretion

Explanation: Ans. is 'b' i.e., Increased insulin secretion o Incretins are GI hormones which are secreted by enteroendocrine cells in response to meals.o The most important action of incretins is to stimulate insulin secretion after a meal.o Two important GI incretins are.i) Glucagon-like peptide 1 (GLP-1).ii) Glucose-dependent insulinotropic polypeptide (GIP).o GLP-1 is more insulinotropic hormone.